X-ray features of ASD are all except –
1. Right atrial enlargement
2. Left atrial enlargement
3. Pulmonary plethora
4. Small aortic knockle

Correct answer: 2. Left atrial enlargement

Explanation: Radiological features of ASD:- Normal size heart or mild cardiomegaly, normal or enlarged pulmonary artery, pulmonary plethora, enlarged right atrium and ventricle, normal size left atrium, small aortic knob.